The common function of Golgi apparatus and endoplasmic reticulum -
1. Protein synthesis
2. Protein degradation
3. Post-transcriptional modification
4. Glycosylation

Correct answer: 4. Glycosylation

Explanation: Ans. is 'd > c' i.e., Glycosylation > Post-translational modification Note: Glycosylation is a critical function of the biosynthetic-secretory pathway in the endoplasmic reticulum (ER) and Golgi apparatus o Golgi apparatus and ER are involved in glycosylation process o Glycosylation is a type of post-translational modification.